A 19 year old patient came with C/o primary amenorrhea. She had well developed breasts and pubic hair. However there was absence of vagina and uterus. Likely diagnosis is
1. Turners syndrome
2. Mullerian agensis
3. Kinefelter's syndrome-XXY
4. Gonadal agenesis

Correct answer: 2. Mullerian agensis

Explanation: Mullerian agenesis : Physical appearance Normal breast development Normal sexual hair Average stature External genitalia Normal Internal genitalia Absence of vagina Absence of uterus D.C.DUTTA'S TEXTBOOK OF GYNAECOLOGY, Pg no:453, 6th edition